Perception of ordinarily non noxious stimuli as pain, is better known as :
1. Allodynia
2. Huperalgesia
3. Hyperesthesia
4. Radiculopathy

Correct answer: 1. Allodynia

Explanation: A i.e. Allodynia Term Description Allodynia Perception of ordinarily non- noxious stimulus as painQ Analgesia Absence of pain perception Anesthesia Absence of all sensation Anesthesia dolorosa Pain in area that lacks sensation Dysesthesia Unpleasant or abnormal sensation with or without a stimulus Hypalgesia (Hypoalgesia) Diminished response to noxious stimulation (eg. pinprick) Hyperalgesia Increased response to noxious stimulationQ Hyperesthesia Increased response to mild stimulationQ Hyperpathia Presence of hyperesthesia, allodynia, and hyperalgesia usually associated with over reaction, and persistence of the sensation after the stimulus. Hypesthesia (Hypoesthesia) Reduced cutaneous sensation (eg. light touch, pressure, or temperature) Neuralgia Pain in the distribution of a nerve or a group of nerve Paresthesia Abnormal sensation perceived without an apparent stimulus Rediculopathy Functional abnormality of one or more nerve root.